TRUE statement regarding vancomycin is :
1. It is bacteriostatic
2. It has the advantage of high oral bioavailability
3. It is not susceptible to penicillinases
4. Staphylococcal enterocolits occurs commonly with its use

Correct answer: 3. It is not susceptible to penicillinases